Earliest change in atherosclerosis is
1. Fatty streaks
2. Fibrofatty plaque
3. Calcification
4. Gelatinous lesions

Correct answer: 1. Fatty streaks

Explanation: A. i.e. (Fatty streaks) (385- 86 - Harsh Mohan 5th) (349 - Basic pathology 8th)ATHEROSCLEROSIS - is an intima- based lesion organized into a fibrous cap and an atheromatous (gruel- like) core and composed by smooth muscle cells, endothelial cells inflammatory cells, lipids and necrotic debris* Atherosclerosis is a slowly evolving lesion usually requiring many decades to become significant. However acute plaque changes {eg rupture, thrombosis or hematoma formation) can rapidly precipitate clinical sequalae (so-called - Clinical Horizon)* Early lesions in the form of diffusal internal thickening, fatty streaks and gelatinous lesions*** Earliest light microscopic changesin MI is- Waviness of the fibres***Morphological features, pathogenic events and clinical complications* Most common cause of aortic aneurysm is - Athero sclerosis*** Most common site for MI is - Anterior wall of left ventricles*** Granulation tissue appears in acute MI - At 1 weeks*** Calcification of the aortic valve is seen in - Aortic stenosis** Me - Collum's patch is diagnostic of - Rheumatic endocarditis*** Osier's node, Janueway and Roth spot seen in Subacute Bacterial endocarditis*** Most common change in atherosclerotic vessel is - Dystrophic calcification* Atherosclerosis LDL is present in LDL monocytes**